Regarding propofol, which one of the following is false?
1. It is used as an intravenous induction agent
2. It causes severe vomiting
3. It is painful on injecting intravenously
4. It has no muscle relaxant property

Correct answer: 2. It causes severe vomiting

Explanation: Ans. is 'b' i.e., It causes severe vomiting Propofol Propofol is a milky white powder that is preservative free; therefore, it must be used within 6 hours. It is an oil based preparation, therefore injection is painful. Propofol is the most frequently used intravenous anaesthetic today.--Miller 6thie - 318 It can be used for both induction as well as maintenace. It does not possess anticonvulsive action (unlike thiopentone). It causes fall in BP and bradycardia. Like thiopental it does not possess muscle relaxant action. Propofol possess significant antiemetic and antipruritic action.-Miller 6th/e - 324 Propofol decreases polymorphonuclear leukocyte chemotoxis but not aherence, phagocytosis and killing (Thiopentone blocks all these) --) increased life threatning infections. Propofol is particularly suitable for outpatient surgery. Intermittent injection or continuous infusion of propofol is frequently used for total Lv. anaesthesia (TINA) when supplemented by fentanyl. It is anaesthetics of choice for intubation in ICU and for patients with malignant hyperthermia. Side effects - pain on injection, myoclonus, apnea, L BP and rarely thrombophlebitis. Propofol infusion syndrome A lethal syndrome, associated with infusion of propofol for 48 hours or longer. Occurs in children and critically ill. It occurs as a result of failure of free fatty acid metabolism and failure of the mitochondrial respiratory chain. Features are - cardiomyopathy with acute cardiac failure, metabolic acidosis, skeletal myopathy, hyperkalemia, hepatomegaly and lipemia